True statement about 'total fertility rate' is -
1. Indicates approximate magnitude of completed family size
2. Numerator is 'woman of child bearing age'
3. Numerator is 'all live births'
4. Numerator is 'married woman of child bearing age'

Correct answer: 1. Indicates approximate magnitude of completed family size

Explanation: Total fertility rate 

Total fertility rate represents the average number of children, a woman would have if she were to pass through her reproductive years, bearing children at the same rates, as the women now in each age group.
It is computed by summing the age specific fertility rates for all ages.
It gives the approximate magnitude of the completed family size.

Total marital fertility rate

Average number of children that would be born to a married women. If she experiences the current fertility pattern throughout her reproductive span.